Tetany may be a feature of the following except -
1. Hyperventilation
2. Hypokalaemic alkalosis
3. Hypomagnesaemia
4. Hyponatraemia

Correct answer: 4. Hyponatraemia